All of the following conditions are contraindicated or likely to worsen in a case of Primary Open Angle Glaucoma, when treated with Timolol maleate 0.5% eye drops, except
1. Hypertension
2. Hypercholesterolemia
3. Depression
4. Bronchial asthma

Correct answer: 1. Hypertension

Explanation: A i.e. Hypertension Topical nonselective f3 blockers (e.g. timolol) are contraindicated in asthma Q, COPD, CHF, sinus bradycardia & AV blocks; where as selective (31 blockers (e.g. betaxolol) are C/I in sinus bradycardia & atrioventricular blocks only.